A person feels that small insects are creeping on the skin giving rise to itching sensation; the condition is seen in:
1. Cocaine poisoning
2. OPC posioning
3. Morphine poisoning
4. Alcohol withdrawal

Correct answer: 1. Cocaine poisoning

Explanation: Ans. Cocaine poisoning